Which of the following is the cause of recurrent
pancreatitis?
1. Gall stones
2. Pancreatic divisum
3. Pancreatic Ca.
4. All of the above

Correct answer: 4. All of the above

Explanation: Causes for recurrent pancreatitis are